Daily temperature variation in remmitent fever is-
1. < 0.5 C
2. >1.0 C
3. <1.0C
4. >2 C

Correct answer: 2. >1.0 C

Explanation: Remittent Fever is a type or pattern of fever in which temperature does not touch the baseline and remains above normal throughout the day. Daily variation in temperature is more than 1degC in 24 hours, which is also the main difference as compared to continuous fever.Fever due to most infectious diseases is remittent. Diagnosis is based upon clinical history, blood tests, blood culture and chest X-ray Ref Davidson 23rd edition pg 218-225